Stereotactic Radiotherapy is used in –
1. Miliary Lung Metastasis
2. Inoperable Stage 1 Lung Tumor
3. Lymphangitis Carcinomatosa
4. Tumor at the base of tongue with new Lymph Node enlargement

Correct answer: 2. Inoperable Stage 1 Lung Tumor